peak of progesterone secretion from corpus luteum occur :
1. At ovulation
2. Before ovulation
3. 3 days after ovulation
4. 8-9 days after ovulation

Correct answer: 4. 8-9 days after ovulation

Explanation: LH initiates and maintains the corpus luteum from which both estrogen and progesterone are secretedProgesterone attains its highest peak 8 days after LH SurgeProgesterone acts to suppress the follicular growthThe lifespan of corpus luteum is about 12-14 daysRef: D.C. Dutta's Textbook of Gynaecology, 6th edition, page no: 93